Following are the adverse effects of estrogens except
1. Supression of libido
2. Fusion of epiphyses
3. Hot flushes
4. Gynaecomastia in males

Correct answer: 3. Hot flushes

Explanation: Adverse effects of estrogen are suppression of libido, gynecomastia in males, a fusion of epiphyses, increased risk of breast and endometrial cancer, migraine, liver disorders, gall stones etc Hot flushes occur due to estrogen deficiency (Ref. Essentials of medical pharmacology TD Tripathi 7th edition page no.309)